Substance that is used for vertebroplasty is:
1. Poly methyl methacrylate
2. Poly ethyl methacrylate
3. Poly methyl ethacrylate
4. Poly ethyl ethacrylate

Correct answer: 1. Poly methyl methacrylate

Explanation: A i.e. Polymethyl methacrylate Veebroplast or kyphoplasty is percutaneous injection of bone cement (PMMA = polymethy methacrylate) into vertebral bodyQ. It can be used for osteolytic spinal metastes, multiple myleoma, aggressive hemangiomas, osteoporotic vertebral compression fractures. Its use has been recommended for patients with short life expectancy or in salvage cases. It is contraindicated in infection eg TB, osteomyelitis, discitis etcQ. Vertebroplasty & Kyphoplasty Vertebroplasty is percutaneous placement of large spinal needles into the fractured / compressed vertebral body through a channel made in the pedicle and injecting bone cement into th fractured bone. It requires high pressure injection b/o structure of the trabeculae and the high viscosity of the bone cement as it hardens. Vertebroplasty was designed to decrease pain and strengthen the bone to prevent further collapse of a wedge compression fracture (that result from failure of anterior column by forward flexion forces). It does not restore vertebral body height or prevent spinal deformity. Balloon Kyphoplasty is the next step in treatment of vertebral compression fractures. This percutaneous minimally invasive procedure involves reduction & fixation performed through small instruments inserted into the vertebral body through the pedicle. A small balloon is inflated to restore the height of collapsed vertebral body and create a cavity inside. The balloon is deflated & withdrawn, and the remaining cavity is filled under low pressur with the surgeon's choice of material. This procedure restores vertebral height & spinal alignment , which is important in preventing long term morbidity & mortality that ariss from vertebral compression fractures & spinal deformity (d/ t cardio-respiatory compromise) . It stabilities vertebrae internally, facilitates pain relief and restores function rapidly. Polymethyl methacrylate (PMMA) bone cement is controlled injected in paste like consistency with fluoroscopic monitoring. 5g of barium sulfate and 2g of tungeston powder is mixed with each kit of PMMA cement to make it radiopaque enough to be visualized adqquately. Potential complications include extrusion of cement into the spinal canal, resulting in neurological compromise, infection, hematoma, pulmonary embolus, failure to relieve pain, and incomplete deformity correction. Pulmonary embolism was correlated with paravertebral venous cement leak, but not with the number of vertebral bodies treated or the type of procedure (vetebroplasty or kyphoplasty). Indications Painful vertebral metastasis, multiple myeloma (with or without adjuvant or surgery) Painful vertebral hemangioma, osteonecosis Osteoporotic vertebral compression fracturesQ >2 weeks old in cervical, thoracic and lumbar spine causing pain which is non responsive to medical management. Absolute Contraindications Infection eg tuberculosisQ, discitis, osteomyelitis, sepsis 2 weeks old in cervical, thoracic and lumbar spine causing pain which is non responsive to medical management. " v:shapes="_x0000_s1026">Untreated coagulopathy Osteoporotic vertebral fracture which is completely healed or is clearly responding to medical management Relative Contraindications > 80-90% collapse of vertebral body Significant compromise of spinal canal by retropulsed bone fragment or tumor >1 year old fracture